Treatment of choice in WPW syndrome patient having an alternate pathway with high-risk properties?
1. Vagal maneuver
2. Catheter ablation
3. Beta blockers
4. Flecainide

Correct answer: 2. Catheter ablation

Explanation: In Wolff-Parkinson-White patients with preexcitation who have symptoms of arrhythmia are at risk for developing atrial fibrillation and sudden death if they have an alternate pathway (AP) with high-risk properties. An invasive electrophysiology study is warranted to determine if the AP is high enough risk to warrant potentially curative catheter ablation. Catheter ablation is warranted for recurrent arrhythmias when drugs are ineffective, not tolerated, or not desired by the patient or if the AP is considered high riskHarrison 19e pg: 1483